A 13 years boy presented with swelling in the cheek with recurrent epistaxis. Most likely diagnosis is
1. Angiofibroma
2. Carcinoma nasopharynx
3. Rhabdomyosarcoma
4. None

Correct answer: 1. Angiofibroma

Explanation: (Angio fibroma) (230-Dhingra 4th)* Nasopharyngeal Fibroma (Juvenile nasopharyngeal angiofibroma)Clinical features* Almost exclusively in male age 10-20 years* Profuse and recurrent epistaxis *** Progressive nasal obstruction and denasal speech* Conductive hearing and serous otitis media* Mass in the masopharynx* Other clinical features like - broadening of the nasal bridge, proptosis, swelling of chest infratemporal fossa or involvement of Ilnd, Illrd , IVth Vlth cranial nerve* CT-scan of the head with contrast enhancement is now the investigation of choice* Surgical excision Transpalatinei Sublabial (Sardana's approach) is now the treatment of choice